No anti - inflammatory action is seen with which of the following-
1. Indomethacin
2. Paracetamol
3. Ketorolac
4. Ibuprofen

Correct answer: 2. Paracetamol

Explanation: Ans. is 'b' i.e., Paracetamol o It does not possess anti-inflammatory activity because it is ineffective in the presence of peroxides generated at the site of inflammation.